For Arsenic poisoning Antidote is
1. Penicillamine
2. E.D.T.A
3. Desferrixamine
4. B.A.L

Correct answer: 4. B.A.L